Parasympathetic postganglionic fibres are carried by the
1. Long ciliary nerves
2. Greater petrosal nerves
3. Auriculotemporal nerve
4. Deep petrosal nerve

Correct answer: 3. Auriculotemporal nerve

Explanation: Long ciliary nerves are mixed sensory and sympathetic. Greater petrosal nerves carries preganglionic parasympathetic fibers from the facial nerve to the pterygopalatine ganglion. The deep petrosal nerve carries mainly sympathetic fibres from the superior cervical ganglion and internal carotid plexus.